Central Drugs Standard Control Organisation Zonal Offices are located all all of the following places except
1. Mumbai
2. Chennai
3. Ahmedabad
4. Jaipur

Correct answer: 4. Jaipur